A person driving a vehicle is punishable if his alcohol level exceeds
1. 10mg per 100ml
2. 30mg per 100ml
3. 50 mg per 100ml
4. 80mg per 100ml

Correct answer: 2. 30mg per 100ml

Explanation: In India, as per provisions of section 185 of Motor Vehicles act 1985 whoever while driving or attempting to drive, a motor vehicle, his blood alcohol exceeding 30 mg per 100 ml of blood detected in test by breath analyser shall be punishable with imprisonment of a term which may extend to 6 months or with fine which may extend 2000 rupees or with both. Ref: FORENSIC MEDICINE AND TOXICOLOGY Dr PC IGNATIUS THIRD EDITION PAGE 191